Pale infarcts seen in A/E-
1. Kidney
2. Spleen
3. Heart
4. Lung

Correct answer: 4. Lung

Explanation: . Lung